A patient with pH of 7, pCO2 of 30 mmHg and Bicarbonate levels of 10 meq. What is the acid base abnormality?
1. Metabolic alkalosis
2. Respiratory alkalosis
3. Metabolic Acidosis
4. Respiratory Acidosis

Correct answer: 3. Metabolic Acidosis

Explanation: Since pH is less, and HCO3 is less, it implies metabolic acidosis Now for compensation pCO2 = HCO3 + 15 = 10 + 15 = 25 mm Hg The value predicted is not matching with given pCO2 of 30 mmHg. Implies compensation is not there and it is a mixed disorder. Conclusion metabolic acidosis with respiratory acidosis.